A woman should take continuously how many days of hormonal OC pills to prevent ovulation?
1. 3 days
2. 5 days
3. 7 days
4. 9 days

Correct answer: 3. 7 days

Explanation: A woman must take hormonal OCs for seven days continuously in order to prevent ovulation reliably Reference: WHO guidelines